A 9 year old girl receives an intradermal tuberculin injection and later develops an indurated, erythematous papule 12 mm in diameter. This reaction is an example of which of the following?
1. Antibody-dependent cell-mediated cytotoxicity
2. Local anaphylaxis
3. T-cell mediated cytotoxicity
4. Type IV hypersensitivity

Correct answer: 4. Type IV hypersensitivity

Explanation: The tuberculin reaction is an example of delayed-type hypersensitivity (a form of Type IV hypersensitivity) in which the bulk of the tissue damage is done by macrophages that are stimulated by a few previously sensitized CD4+ memory T-cells recognizing antigens presented by the macrophages. In contrast, in T-cell mediated cytotoxicity ( another form of Type IV sensitivity) the damage is done by CD8+ cytotoxic T-cells that recognize "foreign" cell surface antigens and directly lyse targeted cells. Antibody-dependent cell-mediated cytotoxicity reactions (a form of Type II hypersensitivity) involves cells coated with a thin layer of antibody that triggers attack by cells (monocytes, neutrophils, eosinophils, and natural killer cells) that can bind to Fc receptors. Local anaphylaxis (a form of Type I hypersensitivity) is due to the release of vasoactive substances by mast cells and basophils stimulated by memory (CD4+) T-cells reacting to antigen. Ref: Ray C.G., Ryan K.J. (2010). Chapter 27. Mycobacteria. In C.G. Ray, K.J. Ryan (Eds), Sherris Medical Microbiology, 5e.